What is the most serious side effect of streptomycin:
1. Hepatotoxicity
2. Ototoxicity
3. Ocular toxicity
4. Hematological disturbances

Correct answer: 2. Ototoxicity

Explanation: Ans. B: Ototoxicity The side effects of streptomycin include fever, hives, rashes, nausea and vomiting. Less common side effects include paresthesia of the face (Bell's Palsy), anaphylaxis, exfoliative dermatitis, "lazy eye," low white blood cell count, low platelet count, muscle weakness and angioneurotic edema. Dangerous side effects include injury to the kidneys (nephrotoxicity), and nerve damage that can result in deafness (ototoxicity).